Green frothy vaginal discharge is produced by -
1. Herpes simplex
2. Candida albicans
3. Trichomonas vaginalis
4. Normal vaginal flora

Correct answer: 3. Trichomonas vaginalis